Which among the following is a highly sensitive marker for carcinoma?
1. Cytokeratin
2. Vimentin
3. CD45
4. Calretinin

Correct answer: 1. Cytokeratin

Explanation: Essentially all cells of epithelial origin express cytokeratins, which are therefore highly sensitive markers for carcinomas. Ref: Encyclopedia of Cancer, Volume 1 edited by Manfred Schwab, 2008, Page 1496